The most common type of mode of meniscal injury is
1. Extension of knee
2. Flexion of knee
3. Flexion and rotation movement
4. Extension and rotation of movement

Correct answer: 3. Flexion and rotation movement

Explanation: C i.e. Flexion & rotation movement The twisting force (rotation) in a weight bearing flexed knee is the commonest mode of meniscal (semilunar cartilage) injuryQ. Menisci follow the tibial condyles during flexion & extension, but during rotation, they follow the femur and move on the tibia; consequently the medial meniscus becomes distorted. Its anterior and posterior attachments follow the tibia, but its intervening part follows the femur, thus it is likely to be injured during rotation. However, the lateral meniscus b/o firm attachment to popliteus muscle, ligament of Wrisberg or Humphry, follows the lateral femoral condyle during rotation and therefore is less likely to be injured. In addition popliteus muscle, by way of arcuate ligament, draws the posterior segment of lateral meniscus backward there by preventing it from being caught between the condyles of femur & plateau of tibia when tibia is rotated internally and knee is flexed(2.